According to Mc Keown's theory, reduction in mortality from Tuberculosis was a consequence of:
1. Increased awareness & knowledge
2. Immunization
3. Introduction of Drug Treatment
4. Social and Environmental Factors

Correct answer: 4. Social and Environmental Factors

Explanation: According to McKeown's theory, improved nutrition is the biggest single factor that contributed to the decline in infectious diseases, including tuberculosis in the 19th century. He attributes better nutrition and reduced overcrowding as the main factors responsible for the decline in death rates of tuberculosis seen over the past 150 years. Ref: Sociology & Health Care: An Introduction for Nurses, Midwives and Allied Health Professionals, By Michael Sheaff, Tata McGraw-Hill Edition 2010, Page 114-119.